Schizophrenia occurring in persons with IQ less than 70 is
1. Simple
2. Proff
3. Catatonia
4. Hebephrenic

Correct answer: 2. Proff

Explanation: Schizophrenia in intellectual disability is known as Proff schizophrenia Other named Schizophrenia is 1. Van-Gogh schizophrenia - schizophrenia with self-mutilating behaviours. 2. Nuclear schizophrenia: It is when both hebephrenic and catatonic schizophrenia occur.